Drug of choice for neurogenic diabetes insipidus
1. Vasopressin
2. Terlipressin
3. Desmopressin
4. Pralipressin

Correct answer: 3. Desmopressin

Explanation: Desmopressin is used to treat neurogenic diabetes insipidus, bedwetting, hemophilia A, von Willebrand disease it acts as an agonist to vasopressin receptor or ADH receptor- produce antidiuresis- less urine production-used in DI, bedwetting, vasoconstriction - used in esophageal varices and produces vwf- used in von Willebrand disease ref KD Tripathi 8th ed